The water powder ratio of alginate is:
1. 100 ml of water to 60 gms of powder
2. 40 ml of water to 40 gms of powder
3. 40 ml of water to 15 gms of powder
4. 15 ml of water to 40 gms of powder

Correct answer: 3. 40 ml of water to 15 gms of powder